Psammoma bodies are seen in the following except -
1. Serous cystadenoma of ovary
2. Mucinous cystadenoma of ovary
3. Meningioma
4. Papillary' carcinoma of thyroid

Correct answer: 2. Mucinous cystadenoma of ovary

Explanation: Ans. is 'b' i.e., Mucinous cystadenoma of the ovary o Psammoma body is a morphological feature of dystrophic calcification, o It is found in:- y Papillary carcinoma thyroid y Meningioma Serous cystadenoma of ovary and Renal cell carcinoma (papillary types)